The release of which one of the following into ponds and wells helps in controlling the mosquitoes?
1. Crab
2. Dogfish
3. Gambusia fish
4. Snail

Correct answer: 3. Gambusia fish

Explanation: Biological control of mosquito larva include growing larvivorous fishes in the burrow pits,oxidation ponds,ornamental ponds .Theya re Gambusia affinis and Lebister reticulatus. Other antilarval measures are source reduction ,filling ,intermitent irrigation.chemical control by using mineral oils and paris green. Parks textbook of preventive and social medicine.K Park. Edition 23.Pg no: :772